What is the code given to psychiatric diseases in ICD 10
1. E
2. F
3. P
4. G

Correct answer: 2. F

Explanation: In the Tenth Revision of the International Classification of Diseases and Related Health Problems (ICD-10).Converting diagnostic criteria into diagnostic algorithms incorporated in the assessment instruments was useful in uncovering inconsistencies, ambiguities and overlap and allowing their removal. The work on refining the ICD-10 also helped to shape the assessment instruments. The final result was a clear set of criteria for ICD-10 and assessment instruments which can produce data necessary for the classification of disorders according to the criteria included in Chapter V (F) of ICD-10. Reference: P.8 (The ICD-10 Classification of Mental and Behavioural Disorders Diagnostic criteria for research)